Tyndallisation is a type of -
1. Intermittent sterilization
2. Pasteurisation
3. Boiling
4. Autoclaving

Correct answer: 1. Intermittent sterilization

Explanation: Ans. is 'a' i.e., Intermittent sterilization Tyndallization (intermittent sterilization) . Media containing sugar or gelatin are sterilized by heating at 100degc for 20 minutes on three successive days. . First exposure kills all vegetative bacteria. . Spores germinate and are killed on subsequent exposures